A 25 years old male started taking antipsychotic (haloperidol) for the last three days. He presented to the emergency department with protruded tongue, breathing difficulty along with spasm of neck and jaw muscles. What could be the most likely diagnosis:
1. Drug hypersensitivity reaction
2. Acute dystonia
3. Neuroleptic malignants
4. Tardive dystonia

Correct answer: 2. Acute dystonia